Absolute indication for LSCS is:
1. Type IV placenta previa
2. Breech presentation
3. Previous LSCS
4. Mento-anterior facepresentation

Correct answer: 1. Type IV placenta previa

Explanation: Type IV is total obstruction of the OS and hence C.S is the only method of termination Breech, Previous CS and Mento-anterior face can all deliver vaginally when conducted in an institute by an experienced obstetrician